Minimum reabsorption through renal tubule, among the following
1. Glucose
2. HCO3
3. Urea
4. Uric acid

Correct answer: 3. Urea

Explanation: Urea is a toxic waste product and it reabsorbed in minimal level.Ref: Ganong's Review of Medical Physiology; 24th edition; page no: 678